Latency period in distraction osteogenesis:
1. 4-7 days
2. 4 weeks
3. 15 days
4. 1 month

Correct answer: 1. 4-7 days

Explanation: Latency period/Delay
Fracture healing is allowed to occur. This period generally ranges from 4-7 days (AIIMS -2012), allows for the initial fracture healing to occur, by callus formation in order to bridge the cut bone segments.